A 65-year-old diabetic man presents to the emergency room with a severe productive cough producing thick bloody sputum resembling a "currant-jelly" like appearance. Culture using MacConkey agar reveals pink colonies, with large mucoid colonies on routine laboratory media. Which of the following organisms is most likely responsible for this patient's pneumonia?
1. Enterobacter cloacae
2. Escherichia coli
3. Klebsiella pneumoniae
4. Pseudomonas aeruginosa

Correct answer: 3. Klebsiella pneumoniae

Explanation: Patients with K. pneumoniae infections usually have predisposing conditions such as alcoholism, advanced age, chronic respiratory disease, and diabetes Pulmonary infections can lead to necrosis and abscess formation Upper lobes of the lungs are predominantly affected The "currant-jelly" sputum distinguishes K. pneumoniae from the other organisms K. pneumoniae is Lactose fermenting (pink colonies on Mac) and due to its thick capsule the colonies have a mucoid appearance.